Which of the following subtypes of ADHD is common in girls?
1. Hyperactive Type
2. Impulsive Type
3. Inattentive Type
4. Autistic Type

Correct answer: 3. Inattentive Type

Explanation: ADHD is a common neurodevelopmental disorder that may affect 2%-10% of school-aged children and may persist into adolescence and adulthood. It is associated with a triad of symptoms: impulsivity, inattention, and hyperactivity. DSM IV-TR has described three ADHD subtypes: hyperactive-impulsive, inattentive, and combined; the combined subtypes often do not appear until 7 years of age. The majority of children with ADHD have a combined type with symptoms of inattention as well as hyperactivity and impulsivity. Girls have a higher prevalence of the inattentive subtype; boys have a higher prevalence of the hyper-active subtype. Although symptoms begin in early childhood, they can diminish between ages 10 and 25 years. Hyperactivity declines more quickly, and impulsivity and inattentiveness often persist into adolescence and adulthood. Ref: Goldson E., Reynolds A. (2012). Chapter 3. Child Development & Behavior. In W.W. Hay, Jr., M.J. Levin, R.R. Deterding, J.J. Ross, J.M. Sondheimer (Eds), CURRENT Diagnosis & Treatment: Pediatrics, 21e.